For the pathologic sign "Renal stones" select the mediastinal tumor with which it is most likely to be associated (SELECT 1 TUMOR)
1. Thymoma
2. Hodgkin's disease
3. Neuroblastoma
4. Parathyroid adenoma

Correct answer: 4. Parathyroid adenoma

Explanation: Neuroblastoma, a highly malignant tumor of children, occurs along the distribution of the sympathetic nervous system. It is derived from ganglion cell precursors and thus usually causes an increased excretion of catecholamines and their metabolites. Because of its propensity to metastasize to bone and its histological resemblance to Ewing's sarcoma, its association with elevated catecholamine levels is a major factor in differential diagnosis.Renal stones occur in about half the cases of hyperparathyroidism. Other disorders sometimes associated with hyperparathyroidism include peptic ulcers, pancreatitis, and bone disease; central nervous system symptoms may also arise in connection with hyperparathyroidism. Occasionally, parathyroid adenomas occur in conjunction with neoplasms of other endocrine organs, a condition known as multiple endocrine adenomatosis.Cystic teratomas, or dermoid cysts, include endodermal, ectodermal, and mesodermal elements. They are characteristically cystic and contain poorly pigmented hair, sebaceous material, and occasionally teeth. Dermoid cysts occur in the gonads and central nervous system, as well as in the mediastinum. With rare exceptions, these lesions are benign.Thymomas are associated with myasthenia gravis, agammaglobulinemia, and red blood cell aplasia. These tumors are typically cystic and occur in the anterior mediastinum. Most thymic lesions associated with myasthenia gravis are hyperplastic rather than neoplastic.Persons afflicted with Hodgkin's disease have impaired cell-mediated immunity and are particularly susceptible to mycotic infections and tuberculosis. The severity of the immune deficiency correlates with the extent of the disease. The nodular sclerosing variant of primary mediastinal Hodgkin's disease is the most common type.